All are used in treatment of Helicobactor pylori, EXCEPT:
1. Colloid bismuth
2. Cisapride
3. Clarithromycin
4. Metronidazole

Correct answer: 2. Cisapride

Explanation: Answer is B (Cisapride) Cispride is not included in any of the successful multidrug regimens against H. pylori infection.